Laron dwarfism is caused by ?
1. Deficiency of GH
2. GH receptor defect
3. Deficiency of thyroxin
4. Thyroxin receptor defect

Correct answer: 2. GH receptor defect

Explanation: Ans. is 'b' i.e., GH receptor defect Laron syndrome Dwarf Development of end organ resistance to growth hormone.